The commonest cause of congenital hypothyroidism-
1. Thyroid dysgenesis
2. Pendred syndrome
3. Defective release
4. Deficiency of deiodinase

Correct answer: 1. Thyroid dysgenesis